Nicoladoni branham sign is ?
1. Compression cause bradycardia
2. Compression cause tachycardia
3. Hypotension
4. Systolic filling

Correct answer: 1. Compression cause bradycardia

Explanation: Answer is 'a' i.e. Compression cause bradycardia